Structure arising from the apex of infected non vital tooth is
1. Dentigerous Cyst
2. Odontogenic Keratocysts
3. Radicular Cyst
4. Gorlin Cysts

Correct answer: 3. Radicular Cyst

Explanation: Answer- C. Radicular CystIs the most common type of jaw cyst.Radicular cyst develops at the apex of an infected, nonvital tooth.If the tooth is removed and the cyst persists, it is called a residual cystThere is a bimodal incidence within the third and sixth decades of life and they are rarely seen in the primary dentition.Usually presents as a radiolucent lesion around the apex ofa tooth root.